Remnant of primary enamel cutlcle after eruption is known as
1. Nasmyth’s membrane
2. Towre’s membrane
3. Towre’s cuticle
4. None of the above

Correct answer: 1. Nasmyth’s membrane